The body of a kidnap victim was brought to you for autopsy. Apart from a few bruises near the mouth and the face there were no obvious external injuries. The toxicology tests confirmed the presence of chloroform in the blood. What is the fatal blood levels of chloroform?
1. 10 mg%
2. 20 mg%
3. 30 mg%
4. 40 mg %

Correct answer: 4. 40 mg %

Explanation: The fatal concentrations of some anaesthetic agents are given below: a) Chloroform - 40 - 60 mg% b) Halothane - 20 mg% c) Divinyl ether - 50 mg% d) Ethyl chloride - 40 mg% e) Trichloroethylene - 50 mg% f) Di ethyl ether - 180 mg% Ref: Textbook of Forensic Medicine and Toxicology by Narayan Reddy, Edition 21, Page - 267